Pricking pain, cold , crude touch is conducted by
1. A alpha
2. A beta
3. A gamma
4. A delta

Correct answer: 4. A delta